A dead body is found to have marks like branching of a tree on front of chest. The most likely cause of death could be due to -
1. Fire-arm
2. Lightening injury
3. Injuries due to bomb blast
4. Road traffic accident

Correct answer: 2. Lightening injury

Explanation: ARBORESCENT OR FILIGREE BURNS OR LICHTENBERG'S FLOWERS: They are superficial thin irregular and tortuous markings on the skin These markings have a general pattern resembling the branches of a tree this fern-like pattern of erythema in the skin is usually found over the shoulders and flanks. It is not certain whether it develops instantaneous or within minutes. CAUSE: 1. It may be caused due to the slight staining of the tissues by haemoglobin from lysed red blood cells along the path of the electric current or rupture of smaller blood vessels at several places rise to ecchymoses 2. They may be superficial burns producing mere erythema of skin which indicate the path of the current 3. They are also said due to minute deposition of copper in the dermis or from the boiling of the intracellular fluid following the fascial planes. They indicate the paths taken by the discharge and disappear in one to two days if the person survives. These marks are seen rarely. REF: THe Synopsis of Forensic Medicine and Toxicology 29th edition page no: 168.